Which of the following reduces the efficacy of oral contraceptives -
1. Erythromycin
2. Griseofulvin
3. Cimetidine
4. Disulfiram

Correct answer: 2. Griseofulvin

Explanation: Ans. is 'b' i.e., Griseofulvin o Contraceptive failure may occur if the following drugs are given concurrently :(a)Enzyme inducer -Enhances the metabolism of estrogen & progesterone.1. Phenytoin3. Carbamazepine5. Primidone2. Phenobarbitone4. Rifampicin6. Griseofulvin(b)Suppression of intestinal microflora - | enterohepatic circulation.1. Tetracyclines 2. Ampicillin